Fletcher's medium containing Rabbit serum is used for-
1. Streptococcus
2. Bacillus anthracis
3. Leptospira
4. Borrelia

Correct answer: 3. Leptospira

Explanation: Ans. is 'c' i.e., Leptospira o Media for the culture of leptospirae usually contain either rabbit serum (Fletcher medium, Stuart broth) or bovine serum albumin (EMJH medium plus long - chain fatty acids and vitamins (B1 & B12)